Infantile polycythemia is seen in –
1. Cerebellar haemangioma
2. Retinoblastoma
3. Hepatoblastoma
4. All

Correct answer: 1. Cerebellar haemangioma

Explanation: In pediatrics, polycythemia is usually secondary to chronic hypoxia.
Secondary causes of pediatric polycythemia

Cyanotic congenital heart disease                                          o Brain tumor (Cerebellar hematzgioma)
Chronic pulmonary disease --> Cystic fibrosis                    o Cushing disease
High altitude                                                                              o Hydronephrosis
Renal tumor

Causes of neonatal polycythemia

Twin-twin transfusion                                                              o Trisomy 93,18 or 21
Maternal-fetal transfustion                                                      o Adrenogenital syndrome


Chronic intrauterine hypoxia  o Neonatal Graves disease
Delayed clamping of umblical cord                                       o Hypothyroidism
Infant of diabetic mother         o Beckwith-wiedemann syndrome
Infant of a hypertensive mother or these on propranolol